A patient presents with heaviness of leg with veins of diameter less than 1mm over the posterior part of the calf- Under CEAP classification it comes under
1. C0
2. C1
3. C2
4. C3

Correct answer: 2. C1

Explanation: CEAP Classification: - Clinical Classification: - * C0- No signs of Venous Disease * C1- Telangiectasia ( <1mm Diameter)/ Reticular Veins (1-2.9 mm Diameter) * C2- Varicose Vein ( > 3 mm Diameter) * C3- Oedema * C4- Pigmentation, Eczema, Lipodermatosclerosis * C5- Healed Venous Ulcer * C6- Active Venous Ulcer Add S for Symptomatic and A for Asymptomatic cases Etiological Classification: - * Ec- Congenital * Ep- Primary * Es- Secondary * En- No Venous Cause identified Anatomical Classification: - * As- Superficial veins * Ap- Perforator veins * Ad- Deep Veins * An- No venous Location identified Pathological classification: - * Pr- Reflux * Po- Obstruction * Pr, o- Reflux and Obstruction * Pn- No Venous Pathology identifiable Ref:- Surgery Sixer 3rd Edition; Pg num:- 885